Red keratic precipitates are seen in
1. Granulomatous uveitis
2. Hemorrhagic uveitis
3. Old healed uveitis
4. Acute anterior uveitis

Correct answer: 2. Hemorrhagic uveitis

Explanation: Keratic precipitates (KPs) are proteinaceous cellular deposits occurring at the back of the cornea. Mostly, these are arranged in a triangular fashion occupying the center and inferior part of the cornea due to convection currents in the aqueous humor. The composition and morphology of KPs vary with the severity, duration, and type of uveitis.Following types of KPs may be seen:i. Mutton fat KPs: These typically occur in granulomatous iridocyclitis and are composed of epithelioid cells and macrophages. They are large, thick, fluffy, lardaceous KPs, having a greasy or waxy appearance. Mutton fat KPs are usually a few (10 to 15) in number.ii. Small and medium KPs (granular KPs). These are pathognomic of non-granulomatous uveitis and are composed of lymphocytes. These small, discrete, dirty white KPs are arranged irregularly at the back of the cornea. Small KPs may be hundreds in number and form the so-called endothelial dusting.iii. Red KPs: These are formed when in addition to inflammatory cells, RBCs also take part in the composition. They may be seen in hemorrhagic uveitis.iv. Old KPs: These are a sign of healed uveitis. Either of the above described KPs with healing process shrink, fade, become pigmented and irregular in shape (crenated margins). Old mutton fat KPs usually have a ground glass appearance due to hyalinization.Ref.UG Khurana 4th edition Pg.No142